At physiologic pH, DNA is
1. Positively charged
2. Negatively charged
3. Amphoteric
4. Uncharged

Correct answer: 2. Negatively charged

Explanation: Nucleic acid carries negative charge at physiological pH Negative charge at physiologic pH is due to presence of phosphodiester linkages This property is useful for the separation of DNA or RNA by electrophoresis. DNA will move towards the anode. Shorter DNA molecules will move faster than longer molecules in agarose gel electrophoresis.